The nerve of the second branchial arch is
1. Glossopharygeal nerve
2. Trigeminal nerve
3. Facial nerve
4. Vagal nerve

Correct answer: 3. Facial nerve

Explanation: Each pharyngeal arch is characterized by its own muscular components. The muscular components of each arch have their own cranial nerve, and wherever the muscle cells migrate, they carry their nerve commponent with them. The neurons of 5th, 77th, 9th and 10th cranial sensory ganglia that supply the pharyngeal arch structures are derived from the ectodermal placodes (epipharyngeal placodes) and from the neural crest cells. Arch Nerve Skeletal derivatives Pouch Derivatives Muscle Derivatives Artery 1st (Mandibular arch) Trigeminal (V) Incus Malleus Anterior ligament of malleus Spine of sphenoid Sphenomandibular ligament Auditory tube Middle ear cavity Tensor tympani Muscles of mastication Mylohyoid Anterior belly of digastric Tensor veli palatini maxillary artery 2nd (hyoid arch) Facial (VII) Stapes Styloid process (temporal) Lesser cornu and upper hyoid Stylohyoid ligament palatine tonsil Tonsillar fossa Stapedius Stylohyoid Facial muscles (Buccinator, platysma, posterior belly of diagastric) Stapedial artery Hyoid artery 3rd Glossopharyngeal (IX) Greater cornu of hyoid Lower part of hyoid part Inferior parathyroids Thymus Stylopharyngeus Common carotid Proximal internal carotid arteries 4th Supeiror laryngeal of vagus (X) Thyroid cartilage Corniculate cartilage Cuneiform cartilage Superior parathyroids Parafolliculae C cells of thyroid (from ultimobranchial body) Pharyngeal muscles Larynx-cricothyroid Levator veli palatini Right side : Right subclavian artery (proximal portion) Left side: Arch of the aorta from the left common carotid to the left subclavian arteries 6th Recurrent laryngeal nerve of Vagus (X) Arytenoid cartilages All intrinsic muscles of the larynx (except the crciothyroid muscle) Right side: Right pulmonary artery Left side: Pulmonary artery and ductus arteriosus Ref: Langman's Medical embryology 14th edition Pgno: 284, 289